Features of opioid intake are all of the following except:
1. Feeling of relaxation
2. Euphoria
3. Analgesia
4. Dilated pupils

Correct answer: 4. Dilated pupils